School Health was first recommended by
1. Bhore committee
2. Chadah committee
3. Jungalwallah committee
4. Srivastava committee

Correct answer: 1. Bhore committee

Explanation: School Health was first recommended by Bhore committee Bhore committee (1946) : 'Health survey and Development committee' Short term measure : 1 PHC per 40,000 population, 30 beds, 3 subcenters and 2 medical officers Long term measures (3 million) : Primary health units with 75- bedded hospitals per 10,000- 20,000 population, secondary health units with 650- bedded hospitals , Regional health units with 2,500 beds Prepare 'Social Physicians' ( 3 month training in preventive and social medicine in medical education School Health Comprehensive health care concept : 1. Promotive - primordial level 2. Preventive - Primary level 3. Curative - Secondary level